The histologic hallmark of langerhan cells is?
1. Dendritic cell processes
2. Giant mitochondria
3. Birbeck granules
4. Eosinophilic granules

Correct answer: 3. Birbeck granules

Explanation: Ans. is 'c' i.e., Birbeck granules